Which of the following malignancy shows rosette shaped arrangement of cells in histology?
1. Thecoma ovary
2. Ependymoma
3. Neurofibroma
4. Lymphoma

Correct answer: 2. Ependymoma

Explanation: Ependymomas are derived from ependymal cells, i.e., the cells lining the ventricles of the brain and the central canal of the spinal cord; this is the most common glioma of the spinal cord. These cells have both glial and epithelial characteristics. The most common cerebral site is the fourth ventricle; less often they occur in the lateral or third ventricles. The tumor cells tend to form rosettes with central lumens or, more often, circular arrangements around blood vessels (pseudorosettes). Ref: Ropper A.H., Samuels M.A. (2009). Chapter 31. Intracranial Neoplasms and Paraneoplastic Disorders. In A.H. Ropper, M.A. Samuels (Eds), Adams and Victor's Principles of Neurology, 9e.